The most common cause for gingival fistula in children is:
1. Acute apical abscess
2. Acute periodontal abscess
3. Periapical cyst
4. Chronic apical lesion

Correct answer: 4. Chronic apical lesion